Counter coup injury seen in when -
1. Moving head is suddenly decelerated
2. Stationery head is suddenly accelerated
3. Fall of heavy object on head
4. None of the above

Correct answer: 1. Moving head is suddenly decelerated

Explanation: the synopsis of forensic medicine & toxicology; Dr k.s narayan reddy ;28th edition; pg.no.143 Mechanism of contrecoup injury when a moving head is suddenly decelerated by hitting a firm surface.